Shiny, pearly white, hemispherical umbilicated papule with central depression may be a feature of:
1. Impetigo contagiosa
2. Furuncle
3. Herpes zoster
4. Molluscum contagiosum

Correct answer: 4. Molluscum contagiosum

Explanation: Ans. D i.e. Molluscum contagiosum